Which of the following pathways are exothermic?
1. Anabolic pathway
2. Catabolic pathway
3. Amphibolic pathway
4. None of the above

Correct answer: 2. Catabolic pathway

Explanation: Anabolic pathways, which are those involved in the synthesis of larger and more complex compounds from smaller precursors e.g, the synthesis of protein from amino acids and the synthesis of reserves of triacylglycerol and glycogen. Anabolic pathways are endothermic. Catabolic pathways, which are involved in the breakdown of larger molecules, commonly involving oxidative reactions; they are exothermic, producing reducing equivalents, and, mainly the respiratory chain, ATP Ref: Harper 28th edition, chapter 16.